Doctor suspects homicide poisoning. Section under which he needs to inform police:
1. Sec. 174 CrPC
2. Sec. 176 CrPC
3. Sec. 37 CrPC
4. Sec. 39 CrPC

Correct answer: 4. Sec. 39 CrPC

Explanation: Ans. Sec. 39 CrPC